In Von Hippel – Lindau Syndrome, the retinal vascular tumour are often associated with intracranial hemangioblastoma. Which one of the following regions is associated with such vascular abnormalities in the syndrome?
1. Optic radiation
2. Optic tract
3. Cerebellum
4. Pulvinar

Correct answer: 3. Cerebellum

Explanation: It is AD life threatening phacomatosis characterized by capillary haemangiomas of retina or optic nerve head and haemangioblastoma of cerebellum, spinal cord, medulla or pons.